Which lobes are affected by Alzheimer's?
1. Frontal and temporal lobe
2. Temporal and parietal lobe
3. Parietal and occipital lobe
4. Parietal and frontal lobe

Correct answer: 2. Temporal and parietal lobe

Explanation: AD presents with insidious onset of memory loss followed by a slowly progressive dementia over several years. Pathologically, atrophy is distributed throughout medial temporal lobe andl ateral and medial parietal lobes. 4 A's of Alzheimer's disease are: 1. Amnesia:(Temporal ) Short term and Long term memory 2. Apraxia (Non dominant parietal lobe ) 3. Anosognosia 4. Aphasia (Dominant parietal lobe )